In case of anisocoria when 1% pilocarpine is instilled into the eye with abnormally dilated pupil, pupil remains dilated. Cause of anisocoria may be:
1. Adies pupil
2. Pharmacological blockage
3. Uncal herniation
4. Diabetic III cranial nerve palsy

Correct answer: 2. Pharmacological blockage

Explanation: Ans. Pharmacological blockage